The bacterial cell wall has all of the following properties except:
1. It consists of a mixed polymer called peptidoglycon
2. It is the structure principally responsible for the reaction of gram staining
3. It is a unique flexible plastic structure
4. It contains D-isomers of amino acids

Correct answer: 3. It is a unique flexible plastic structure